Wide fixed S2 is seen in __________
1. ASD
2. VSD
3. PDA
4. All of the above

Correct answer: 1. ASD

Explanation: Widely split S2 seen in ASD. Ghai essential of pediatrics, eighth edition, p.no:413